"Crocodile tears syndrome" (spontaneous lacrimation during eating because of misdirection of regenerating autonomic nerve fibers) occurs after injury to which of the following nerves?,
1. Facial nerve proximal to the geniculate ganglion
2. Auriculotemporal nerve
3. Chorda tympani in the infratemporal fossa
4. Facial nerve at the stylomastoid foramen

Correct answer: 1. Facial nerve proximal to the geniculate ganglion

Explanation: "Crocodile tears syndrome" (lacrimation during eating) is caused by a lesion of the facial nerve proximal to the geniculate ganglion. This happens due to misdirection of regenerating parasympathetic fibers, which formerly innervated the salivary glands, to the lacrimal glands.